Surgical intervention in acute pancreatitis is indicated in all, EXCEPT:
1. Infected necrosis
2. Infected collection
3. Impacted gallstone in ampulla
4. None of the above

Correct answer: 4. None of the above

Explanation: Surgical intervention in acute pancreatitis is reserved for patients with infected collections or infected necrosis only, or to relieve an impacted gallstone in the ampulla if endoscopic or radiologic treatments are unavailable or unsuccessful. Ref: Schwartz's principle of surgery 9th edition, chapter 33.